Mistuda reaction is read at:
1. 3rd day
2. 10th day
3. 28th day
4. 45th day

Correct answer: 3. 28th day

Explanation: 28th day